Spermatogenesis occurs in:
1. Seminiferous tubules
2. Epididymis
3. Vas deferens
4. Prostate

Correct answer: 1. Seminiferous tubules

Explanation: Ans. A. Seminiferous tubulesa. Spermatogenesis is the process by which haploid spermatozoa develop from germ cells in the seminiferous tubules of the testis.b. This process starts with the mitotic division of the stem cells located close to the basement membrane of the tubules.c. These cells are called Spermatogonial stem cells. The mitotic division of these produces two types of cells. Type A cells replenish the stem cells, and type B cells differentiate into spermatocytes.d. The primary spermatocyte divides meiotically (Meiosis I) into two secondary spermatocytes; each secondary spermatocytes divides into two equal haploid spermatids by Meiosis II. The spermatids are transformed into spermatozoa(sperm) by the process of spermiogenesis.e. These develop into mature spermatozoa, also known as sperm cells. Thus, the primary spermatocyte gives rise to two cells, the secondary spermatocytes, and the two secondary spermatocytes by their subdivision produce four spermatozoa and four haploid cells.